Retinitis pigmentosa forms a constituent of all the following syndromes except:
1. Lowe's syndrome
2. Refsum's syndrome
3. Usher's syndrome
4. Hallgren's syndrome

Correct answer: 1. Lowe's syndrome

Explanation: Ans. Lowe's syndrome